Koeppe's and Busaca's nodules are characteristic of
1. Granulomatous uveitis
2. Non granulomatous uveitis
3. Residual uveitis
4. Recurrent uveitis

Correct answer: 1. Granulomatous uveitis

Explanation: Presentation of anterior uveitis : - Iris nodules : a) Koeppe's nodules - present on pupillary margin b) Busacca's nodules - present on surface of iris Both are seen in granulomatous uveitis